In a alcoholic individual, development of tolerance that develops earliest and disappears almost as rapid as it develops, is due to:
1. Pharmacokinetics
2. Pharmacodynamics
3. Cellular tolerance
4. Behavioural tolerance

Correct answer: 1. Pharmacokinetics

Explanation: Ans. a (Pharmacokinetics). (Ref. Harrison's medicine 18th/ Ch. 392).Type: COMMON TYPES OF ALCOHOL INTOLERANCEFirstafter 1-2 weeks of daily drinking, metabolic, or pharmacokinetic tolerance can develop, with a 30% increase in the rate of hepatic alcohol metabolism. This alteration disappears almost as rapidly as it develops.Secondcellular or pharmacodynamic tolerance develops through neurochemical changes that may also contribute to physical dependence. The cellular changes caused by chronic alcohol exposure may not resolve for several weeks or longer following cessation of drinking.Thirdindividuals can develop behavioural tolerance, i.e. can learn to adapt their behaviour so that they can function better than expected under drug influence.UNCOMMON TOLERANCE TYPESFunctionalToleranceHumans and animals develop tolerance when their brain functions adapt to compensate for the disruption caused by alcohol in both their behavior and their bodily functions. This adaptation is called functional tolerance.Environment- dependent toleranceThe development of tolerance to alcohol's eff ects over several drinking sessions is accelerated if alcohol is always administered in the same environment or is accompanied by the same cues. This effect has been called environment-dependent tolerance.Learned toleranceThe development of tolerance also can be accelerated by practising a task while under the influence of alcohol. This phenomenon is called behaviorally augmented (i.e. learned) tolerance.